Elastic cartilage is present in
1. Thyroid cartilage
2. Cricoid
3. Arytenoid cartilage
4. Epiglottis

Correct answer: 4. Epiglottis

Explanation: Elastic cartilage is present in – Epiglottis. It is a yellow, leaf-like elastic cartilage forming anterior wall of laryngeal inlet. It is attached to the body of hyoid bone by the hyoepiglottic ligament, which divides into suprahyoid and infrahyoid epiglottis.
Other elastic cartilage structures are corniculate, cuneiform and tip of arytenoid near corniculate cartilage.
Thyroid, cricoid and most of the arytenoid cartilage are hyaline cartilages.